True regarding TT dose(s) in Pregnancy for a Primigravida woman is:-
1. 1 dose in 2nd Trimester
2. 2 doses (1 month apart) 2nd Trimester
3. 1 dose anytime as soon as possible in pregnancy
4. 2 doses (1 month apart) as soon as possible in pregnancy

Correct answer: 4. 2 doses (1 month apart) as soon as possible in pregnancy

Explanation: TT in pregnancy:- Primary level of prevention (specific protection) Primigravida - 2 doses (1 month apart) of TT- ASAP in pregnancy 2 dose - total duration protection - 5 years If next pregnancy occur in 3 years of previous pregnancy - only 1 booster dose required Both doses must be completed within 8 months POG.